How are chest compressions given in a newborn?
1. Using palm on the lower third of sternum
2. Using two fingers on the middle third of sternum
3. Using the two thumbs on the lower third of sternum
4. Using three fingers on the lower third of sternum

Correct answer: 3. Using the two thumbs on the lower third of sternum

Explanation: c. Using the two thumbs on the lower third of sternumThe two thumb encircling technique is preferred for chest compressions in newborn